Antitubercular drug that can cause hyperuricemia is :
1. Rifampicin
2. INH
3. Pyrazinamide
4. Streptomycin

Correct answer: 3. Pyrazinamide